Cytochrome C oxidase is inhibited by
1. Barbiturate
2. 2, 4-dinitrophanol
3. H2S
4. Rotenon

Correct answer: 3. H2S

Explanation: Site-III (Complex IV) * Cyanide Inhibits terminal * H2S * Azide transfer of electrons to molecular O2 * Co (Carbon monoxide): Inhibits Cyt. oxidase by combining with O2 binding site. It can be reversed by illumination with light.Ref: MN Chatterjea Textbook of Medical Biochemistry, 8th edition, page no: 143